Roseola infantum is caused by (most commonly)-
1. HHV - 2
2. HHV - 6
3. HHV - 7
4. HHV - 8

Correct answer: 2. HHV - 6

Explanation: Roseola infantum is caused most commonly by HHV - 6 less commonly by HHV - 7 C/F: fever 3-4 days + Rash (maculopapular) appear after cessation of fever